Enzyme catalase is found in -
1. Lysosome
2. Mitochondria
3. Peroxisomes
4. Cytosol

Correct answer: 3. Peroxisomes

Explanation: Ans. is 'c' i.e., Peroxisomes Organelle or fractionMarkersMitochondriaInner membrane:- ATP synthase, Succinate dehydrogenaseIntermembrane space:- Creatine kinase, Adenyl kinase.Matrix:- Glutamate dehydrogenase, Pyruvate dehydrogenase, enzymes of TCA cycle & b-oxidation of fatty acidsPlasma membrane51-Nucleotidase, Adenyl cyclase, Na+K+ ATPaseLysosomeAcid phosphataseGolgi ApparatusGalactosyl transferase, Golgi mannosidase II,Sialyl transferase, GlcNAc transferase IEndoplasmic reticulumGlucose-6-phosphatasePeroxisomeCatalase, Urate (uric acid) oxidaseCytosolLactate dehydrogenaseNucleusDNARibosomeHigh content of RNA